Most lateral structure in flexor retinaculum of leg is
1. Flexor hallucis longus tendon
2. Tibialis posterior tendon
3. Tibial nerve
4. Posterior tibial artery

Correct answer: 1. Flexor hallucis longus tendon

Explanation: FLEXOR RETINACULUM (LEG):- Attachments:Anteriorly-posterior border and tip of medial malleolus.Posteriorly and laterally-medial tubercle of calcaneum. Septa passing from the retinaculum to the underlying bone divide the space deep to retinaculum into four compartments. Structures passing deep to this:(Medial to lateral)1. Tendon of Tibialis posterior.2. Tendon of flexor digitorum longus 3. Posterior tibial artery and its terminal branches along with accompanying veins.4. Tibial nerve and its terminal branches.5. Tendon of flexor hallucis longus. Each tendon separate compartment.Artery and nerve same compartment.Near the calcaneum, it is pierced by the medial calcaneal vessels and nerves.Lower part of deep surface of retinaculum gives origin to greater part of abductor hallucis muscle. Tibial nerve injury under flexor retinaculum-Tarsal tunnel syndrome. {Reference: BDC 6E pg no.105}